Which is the least common thyroid malignancy?
1. Papillary carcinoma
2. Follicular carcinoma
3. Medullary carcinoma
4. Anaplastic carcinoma

Correct answer: 4. Anaplastic carcinoma

Explanation: Ans. is 'd' i.e., Anaplastic carcinoma * Least common type of thyroid carcinoma is anaplastic type.* Most common type of thyroid carcinoma is papillary carcinoma (75%-85%) followed by follicular carcinoma (10-15%), medullary carcinoma (5%) and anaplastic carcinoma (<5%).